Most common eye pathology in toxoplasma infection is:
1. Corneal ulcer
2. Retinochoroiditis
3. Uveitis
4. Cataract

Correct answer: 2. Retinochoroiditis

Explanation: Ans. B: Retinochoroiditis Intraocular features of toxoplasmosis infections are: Macular scarring Retinochoroiditis Vitritis When human retinal pigment epithelium (RPE) cells are infected with Toxoplasma gondii, there is an increased production of several cytokines including interleukin 1beta (IL-18), interleukin 6 (IL-6), granulocyte-macrophage colony-stimulating factor (GM-CSF), and intercellular adhesion molecule (ICAM). Patients with acquired toxoplasmic retinochoroiditis exhibit higher levels of IL-1 than asymptomatic patients. IL-10 polymorphisms associated with a low production of IL-10 also appear to be associated with the occurrence of toxoplasmic retinochoroiditis. Toxoplasma parasites are rarely identified in aqueous humor samples from patients with active ocular toxoplasmosis.